Examples of physiological antagonism is:
1. Adrenaline and salbutamol.
2. Adrenaline and histamine.
3. Salbutamol leukotrienes.
4. Both BC

Correct answer: 4. Both BC